The highest nuchal lines gives attachment to:
1. Trapezius
2. Ligamentum nuchae
3. Sternocleidomastoid
4. Occipitalis

Correct answer: 4. Occipitalis

Explanation: The highest nuchal lines are curved bony ridges that begin from the upper part of the external occipital protuberance and are more arched than the superior nuchal lines. The highest nuchal lines  provide attachment to the epicranial aponeurosis medially, and give origin to the occipitalis or occipital belly of occipitofrontalis muscle laterally.